Deep transverse arrest occurs in ...... pelvis :
1. Gynaecoid
2. Platypelloid
3. Android
4. Mixed

Correct answer: 3. Android

Explanation: Android